Rossette shaped cataract is seen in -
1. Congenital rubella
2. Blunt trauma to eye
3. Wilson's disease
4. Diabetes meilitus

Correct answer: 2. Blunt trauma to eye

Explanation: Ans. is 'b' i.e., Blunt trauma to eye DiseaseType of cataracto Myotonic dystrophyChristmas tree cataract. Blue dot cortical cataract, posterior subcapsular cataract.o Wilson's diseaseo Copper deposition (Chalcosis)o Penetrating traumaSunflower cataract (Petals of flower cataract)o Diabetes mellitusSnowflake cataract or Snowstrom cataracto Down's syndromeSnowflake cataracto Hypoparathyroidism (Hypocalcemia) Hvpovitaminosis DDiscrete white cortical opacities, Congenital lamellar (zonular) cataracto Atopic dermatitisBlue dot cortical cataract, posterior subcapsular cataracto Congenital rubellaNuclear cataract, Total congenital cataracto GalactosemiaOil drop cataract, Dust like lenticular opacitieso Complicated cataract(Iridocyclitis, High myopia)Posterior cortical breads's crumb appearance, Polychromatic lustyre/Rainbow cataracto Blunt traumaVossius ring on anterior surface of lens, Rosette shaped cataract